Which of the following drug can casue thyroid dysfunction?
1. Amiodarone
2. Ampicillin
3. Ibutilide
4. Acyclovir

Correct answer: 1. Amiodarone

Explanation: Ans. is 'a' i.e., Amiodarone Drugs causing hypothyroidism -o Lithiumo Sulfonamideo Phenobarbitoneo Phenytoino Amiodaroneo Paraminosalycylie acid (PAS)o Rifampicino Carbamazepine